The primary cause of acantholysis in pemphigusvulgaris is
1. auto immunity
2. intercellular oedema
3. intra epithelial oedema
4. chronic alcoholism

Correct answer: 1. auto immunity